The recommended fluid for initial fluid challenge in a trauma victim in shock is
1. 5% dextrose
2. 10% dextrose
3. Dextrose normal saline
4. Hartmann's solution

Correct answer: 4. Hartmann's solution

Explanation: Because hartmanns solution (RL) is more isotonic to blood 5%dextrose is isotonic, but as dextrose can move intracellularly, 5%D doesnt increase intravascular volume.